On a stained slide, clostridium tetani has the
appearance of a:
1. Bunch of grapes
2. Chain of beads
3. Drumstick
4. Safety pin

Correct answer: 3. Drumstick